The sandwich technique is recommended for:
1. Class II composite restorations
2. Class V composite restoration
3. Class III composite restoration
4. Both 1 and 2

Correct answer: 4. Both 1 and 2

Explanation: This sandwich technique is recommended for Class II and V composite restorations when individual patients are at a moderate to high risk for caries.
Ref: Phillip’s Science of Dental Materials ed 12 pg 327